Cetrimide culture media used in which infection?
1. E. coli
2. V. cholerae
3. Staph aureus
4. Pseudomonas

Correct answer: 4. Pseudomonas

Explanation: Ans. is 'd' i.e., Pseudomonas